Number of primary teeth;
1. 20
2. 24
3. 16
4. 32

Correct answer: 1. 20

Explanation: there are total of 20 primary teeth PRIMARY/ MILK/ TEMPORARY TEETH SECONDARY/ PERMANENT TEETH BEGIN AT 6-7 months 6 years 1st tooth to erupt Lower central incisor 1st molar Last tooth Second molar 3rd molar or wisdom tooth Completes at 2 and half - 3 years 12 years except the 3rd molar Total no. of teeth 20 28-32